All of the following extraintestinal manifestations of ulcerative colitis respond to colectomy except
1. Primary sclerosing cholangitis
2. Pyoderma gangrenosum
3. Episcleritis
4. Peripheral arthralgia

Correct answer: 1. Primary sclerosing cholangitis

Explanation: .Treatment of Primary sclerosing cholangitis includes * Stenting. * T-tube drainage. * Large dose steroids * Immunosuppression therapy - methotrexate, azathioprine, tacrolimus, cyclosporine. * Ursodeoxycholic acid is beneficial. * Liver transplantation. ref:SRB 's manual of surgery,ed 3,pg no- 590